Tumbling motility is shown by -
1. Listeria monocytogenes
2. Proteus vulgaris
3. Borrelia
4. Clostridia

Correct answer: 1. Listeria monocytogenes

Explanation: Listeria shows characteristic tumbling motility at 25 °C however, it is non motile at 37 °C.